Which of the following determines the speed of recovery from IV anesthetic agents?
1. Liver metabolism of drug
2. Protein binding of drug
3. Redistribution of the drug from sites in the CNS
4. Plasma clearance of the drug

Correct answer: 3. Redistribution of the drug from sites in the CNS

Explanation: IV anesthetic agents are give by infusion . Infusion maintains the serum concentration of anesthetic agent high which causes the drug to attach to highly perfused organ i.e CNS . Once the infusion is stopped the serum concentration decreases and drug detaches from CNS and gets redistributed to other organs Hence redistribution of drug from CNS determines the speed of recovery from IV anesthetic